Thiamine deficiency causes -
1. Peripheral neuropathy
2. Cardiomyopathy
3. Ophthalmoplegia
4. All

Correct answer: 4. All